True Supracondylar fracture of femur?
1. Type A
2. Type B
3. Type C
4. Type D

Correct answer: 1. Type A

Explanation: Ans. is 'a' i.e., Type A